Heat stroke is ?
1. Heat cramps
2. Heat collapse
3. Heat exhaustion
4. Heat hyperthermia

Correct answer: 4. Heat hyperthermia

Explanation: Heat stroke/ Heat hyperpyrexia/ Heat hyehermia Term "Sunstroke" or "thermic fever'' is used when due to exposure to sun. Triad of CNS dysfunction, Rectal temperature > 41 degree C & Absent sweating Features : Tachcardia and hyperventilation Temprature > 41 degree celcius Hot and Dry skin Constricted pupils Delirium, blurred vision, convulsions , collapse and unconsciousness occurs Postmortem caloricity seen Consistent feature in postmortem: cerebellum shows edema of purkinje layer & disintegration of purkinje cells, gliosis The failure of cutaneous blood flow and sweating leads to break down of the heat regulating centre of the hypothalamus. Temperature remains high even after death.